Atypical pneumonia can be caused by the following microbial agents except ? -
1. Mycoplasma pneumoniae
2. Legionella peumophila
3. Human corona virus
4. Klebsiella pneumoniae

Correct answer: 4. Klebsiella pneumoniae

Explanation: Ref:Textbook of pathology (Harsh mohan) 6th edition,page no.472 Viral and mycoplasmal pneumonia is characterised by patchy inflammatory changes, largely confined to interstitial tissue of the lungs, without any alveolar exudate. ETIOLOGY. Interstitial pneumonitis is caused by a wide variety of agents, the most common being respiratory syncytial virus (RSV). Others are Mycoplasma pneumoniae and many viruses such as influenza and parainfluenza viruses, adenoviruses,Human corona virus, rhinoviruses, coxsackieviruses and cytomegaloviruses (CMV). Occasionally, psittacosis (Chlamydia),Legionella peumophila and Q fever (Coxiella) are associated with interstitial pneumonitis. Infections of the respiratory tract with these organisms are quite common. In most cases, the infection remains confined to the upper respiratory tract presenting as common cold. Occasionally, it may extend lower down to involve the interstitium of the lungs. The circumstances favouring suchextension of infection are malnutrition, chronic debilitating diseases and alcoholism.